Same or closely related antigens present in different biological species are known as
1. Sequestrated antigens
2. Isoantigens
3. Haptens
4. Heterophile antigens

Correct answer: 4. Heterophile antigens